Chemicals used in root preparation are:
1. Citric acid
2. Fibronectin
3. Tetracycline
4. All of the above

Correct answer: 4. All of the above